Which of the following malignant tumors is radio resistant?
1. Ewing Tumour
2. Retinoblastoma
3. Osteosarcoma
4. Neuroblastoma

Correct answer: 3. Osteosarcoma